Which of the following drugs was initially developed as an antitubercular drug but later found to have mood elevating properties
1. Isoniazid
2. Selegeline
3. Fluoxetine
4. Lithium

Correct answer: 1. Isoniazid

Explanation: Refer Goodman Gilman 12th/1558. Isoniazid caused euphoria as an adverse effect. This lead to development of structurally similar drugs as antidepressants